Which of the following is not seen in low insulin-glucagon ratio?
1. Gluconeogenesis
2. Glycogen Breakdown
3. Ketogenesis
4. Glycogen Storage

Correct answer: 4. Glycogen Storage

Explanation: Low Insulin means its catabolic state and pathways not seen in these conditions will be all anabolic pathway. So after referring to table below the pathway which is anabolic out of given options is glycogen storage or glycogenesis. Anabolic Pathways or Enzymes Catabolic Pathways or Enzymes Glycogenesis HMP Fatty Acid Synthesis Cholesterol Synthesis TG Synthesis Lipoprotein Lipase Glycolysis LinK reaction (Pyruvate Dehydrogenase reaction) GLycogenolysis Beta Oxidation of fatty acids Gluconeogenesis Ketone body synthesis Ketone body utilization / Breakdown Hormone sensitive lipase Extra Information: Anabolic enzymes - active in dephosphorylated state Catabolic enzymes - active in phosphorylated state. EXCEPTION: ATP Citrate Lyase - anabolic enzyme (Fatty Acid Synthesis) -active in phosphorylated state.